Non progressive contraction of Esophagus is associated with which contractile waves:
1. Primary
2. Secondary
3. Tertiary
4. Quaternary

Correct answer: 3. Tertiary

Explanation: Tertiary contractions are simultaneous, non progressive, non peristaltic waves that can occur throughout the esophagus. These waves do not have physiologic function and are observed in elderly people and in esophageal motility disorders. It represents the uncoordinated contractions of the smooth muscles that are responsible for the classic corkscrew appearance of esophageal spasm on barium swallow examination. Ref: Gastrointestinal Disease: An Endoscopic Approach By Anthony J. DiMarino, Stanley B. Benjamin, Pages 179-181; Review of Surgery: Basic Science and Clinical Topics for Absite By Gamal Mostafa, Lamont Cathey, Frederick L. Greene, Page 189